Pain sensations from the ethmoidal sinus are carried by:
1. Supraorbital nerve
2. Lacrimal Nerve
3. Nasociliary Nerve
4. Infraorbital Nerve

Correct answer: 3. Nasociliary Nerve

Explanation: (c) Nasociliary Nerve(Ref. Cummings, 6th ed., 476)SinusMaxillaryFrontalEthmoidsSphenoidOpeningInfundibulum of middle meatusBy Fronto-nasal recess into middle meatusAnterior ethmoids - middle meatusPosterior ethmoids - superior meatusSpheno-ethmoidal recess above the superior turbinateAt birthPresentSize increases with age becoming almost maximum by the time of completion of secondary dentition (of 2nd premolar and 1st molar), i.e. 12 years, further enlargement coincides with the development of 2nd and 3rd molars till 18 yearsAbsentAttains full size by 19 yearsPresentSize increases with age reaching a maximum by 15 yearsPresent (but small)Attains full size by 15 yearsX-ray identification at 4-5 months6 years1 year4 yearsCapacity15ml7ml2-3ml0.5-5mlNerve supplyMaxillary V2 (infraorbital and alveolar nerves)Ophthalmic (V1 )(supra orbital branch)Ophthalmic V1 (nasociliary branch) and Maxillary V2 (from sphenopalatine fossa)Ophthalmic V1 (nasociliary branch) and Maxillary V2 (from sphenopalatine fossa)RemarksEarliest sinus to developMost common sinusitis in adultsLargest paranasal sinusAlso known as the antrum of "Highmore"Last sinus to developMost pneumatised at birth so Most common sinusitis in infants and young childrenHigh opening so least commonly infectedPain sensations from the frontal sinus are carried by supraorbital nerve, a branch of ophthalmic division (VI) of trigeminal.Infra-orbital nerve along with alveolar nerves (branches of the maxillary division of trigeminal) carries pain sensations from the maxillary sinus.Lacrimal nerve (a branch of ophthalmic division of trigeminal) do not supply the paranasal sinuses.